NMDA blocker used as antitussive is
1. Pholcodeine
2. Dextromethorphan
3. Diphenhydramine
4. Aprepitant

Correct answer: 2. Dextromethorphan

Explanation: Dextromethorphan is a NMDA blocker which is a less potent antitussive. Side effects include addiction liability & hallucination.